Information obtained by lateral plate X-ray pelvimetry are all except:
1. Sacral curve
2. True conjugate
3. Bispinous diameter
4. Inclination of the pelvis

Correct answer: 3. Bispinous diameter

Explanation: Bispinous diameter can be measured by anteroposterior view and not on lateral view of X-ray pelvimetry.
X-ray pelvimetry is of limited value in the diagnosis of pelvic contraction or cephalopelvic disproportion. Apart from pelvic capacity there are several other factors involved in successful vaginal delivery. These are the fetal size, presentation, position and the force of uterine contractions. X-ray pelvimetry cannot assess the other factors. It cannot reliably predict the likelihood of vaginal delivery neither in breech presentation nor in cases with previous cesarean section.

X-ray pelvimetry is useful in cases with fractured pelvis and for the important diameters which are inaccessible to clinical examination.
Techniques: For complete evaluation of the pelvis, three views are taken — anteroposterior, lateral and outlet. But commonly, X-ray pelvimetry is restricted to only the erect lateral view (the femoral head and acetabular margins must be superimposed) which gives most of the useful information. Anteroposterior view can give the accurate measurement of the transverse diameter of the inlet and bispinous diameter.
Hazards of X-ray pelvimetry includes radiation exposure to the mother and the fetus. With conventional X-ray pelvimetry radiation exposure to the gonads is about 885 millirad. So it is restricted to selected cases only.